Most common type of hypospadias is:
1. Glandular
2. Penile
3. Coronal
4. Perineal

Correct answer: 1. Glandular

Explanation: Ans. A: Glandular Glandular hypospadias is common and does not usually require treatment Hypospadias: The external meatus opens on the underside of the penis or the perineum, and the inferior aspect of the prepuce is poorly developed (hooded prepuce) Meatal stenosis occurs Bifid scrotum 6 - 10 months of age is the best time for surgery